The type of hemoglobin that has least affinity for 2,3-Diphosphoglycerate (2,3-DPG) or (2,3-BPG) is:
1. HbA
2. HbF
3. HB
4. HgA2

Correct answer: 2. HbF

Explanation: Foetal hemoglobin does not bind 2,3-DPG. Ref: Four Hidden Metamorphoses: A Remark on Blood, Muscle, Mental Diseases and Cancer By Maurice Israel, 2004, Page 9